Most common type of Choledochal cyst
1. Type 1
2. Type 2
3. Type 3
4. Type 4

Correct answer: 1. Type 1

Explanation: Type 1 - m/c.
Type 5  - Least common.